Most common carcinoma associated with RA
1. Diffuse large B cell lymphoma
2. Large granular lymphocytic leukemia
3. Chronic lymphocytic leukemia
4. None

Correct answer: 1. Diffuse large B cell lymphoma

Explanation: Large cohort studies have shown a two- to fourfold increased risk of lymphoma in RA patients compared with the general population. The most common histopathologic type of lymphoma is a diffuse large B cell lymphoma. The risk of developing lymphoma increases if the patient has high levels of disease activity or Felty's syndrome. Ref Harrispns 20e p2530